Disease not transmitted by Lice is -
1. Relapsing fever
2. Trench fever
3. Q-fever
4. Epidemic typhus

Correct answer: 3. Q-fever

Explanation: Lice are small ectoparasites of mammals and birds. Infestation by lice is called pediculosis. Diseases transmitted by lice and causative agents are Epidemic typhus- rickettsia prowazeki, trench fever- rickettsia quintana, relapsing fever- borrelia recurrentis Q fever is transmitted by soft tick. Park's Textbook of Preventive and Social Medicine, 25th edition, Page No. 837